Decreased dietary intake of potassium is incriminated in leading to all except?
1. Hypertension
2. Stroke
3. CHF
4. Diabetes mellitus

Correct answer: 4. Diabetes mellitus

Explanation: Reduced dietary K+ are implicated in the pathophysiology and progression of hypertension heart failure, and stroke. For example, short term K+ restriction in healthy humans and patients with essential hypertension induces Na+Cl-retention and hypertension. Correction of hypokalemia is particularly important in hypertensive patients treated with diuretics, in whom blood pressure improves with the establishment of normokalemia. Since hypertension and Coronary artery disease patients if untreated can develop CHF, reducing incidence of these will reduce incidence of CHF.